In endodontic-periodontal lesion pulpal necrosis
1. Follows periodontal changes
2. Precedes periodontal changes
3. Impedes periodontal changes
4. All of the above

Correct answer: 2. Precedes periodontal changes